The following metabolite is a derivative of tryptophan
1. Melatonin
2. Thyroxine
3. Epinephrine
4. Nor epinephrine

Correct answer: 1. Melatonin

Explanation: Tryptophan is converted to Seratonin, which is then acetylated and further methylated to form Metatonin.Ref: DM Vasudevan - Textbook of Biochemistry, 7th edition, page no: 240, Fig no 18.10.